For the following cardiac abnormalities, select the characteristic JVP finding.Complete heart block.
1. Cannon a wave
2. prominent x descent
3. Kussmaul sign
4. slow y descent

Correct answer: 1. Cannon a wave

Explanation: Large a waves occur with increased resistance to filling (tricuspid stenosis, pulmonary hypertension) or when the right atrium contracts against a tricuspid valve closed by right ventricular systole (Cannon a waves) in complete heart block or other arrhythmias.